Palpable purpura is caused by -
1. HSP
2. PAN
3. Microscopic polyangitis
4. All of the above

Correct answer: 4. All of the above

Explanation: Ans-DCauses of palpable purpuraRocky mountain spotted feverAcute meningococcemiaDisseminated gonococcal infectionEcthyma gangrenosumHenoch Schonlein purpuraPolyarteritis nodosaLeucocytoclastic vasculitis